Fowl smelling nasal discharge is seen in all except?
1. Nasal Myiasis
2. Choanal atresia
3. Foreign body in nose
4. Rhinolith

Correct answer: 2. Choanal atresia

Explanation: Ans. is `b' i.e., Choanal atresia Diseases with fowl smelling nasal discharge are: Nasal myiasis Foreign body in nose Rhinolith In choanal atresia there is presence of nasal discharge without air bubbles.